Recent nobel prize for -
1. RNA i
2. Lipoxin
3. T beta transcription factor
4. Mitochondrial DNA

Correct answer: 1. RNA i